Intravenous infusion of 2.0 L of isotonic saline (0.9% NaCl) results in increased:
1. Intracellular fluid volume
2. Plasma aldosterone level
3. Plasma arginine vasopressin (AVP) concentration
4. Plasma atrial natriuretic peptide (ANP) concentration

Correct answer: 4. Plasma atrial natriuretic peptide (ANP) concentration

Explanation: Ans. D. Plasma atrial natriuretic peptide (ANP) concentrationa. Isotonic saline does not change cell volume. The plasma AVP level will fall because of volume expansion and cardiovascular stretch receptor inhibition of its release.b. The plasma aldosterone level will be low because of inhibited release of renin and less angiotensin II formation.c. The plasma ANP level will be increased from stretch of the cardiac atria.d. A large part of the infused isotonic saline will be filtered through capillary walls into the interstitial fluid.